Staphylococcus differs from streptococcus by:
1. Coagulase test
2. Catalase test
3. Phosphatase
4. Gram negative

Correct answer: 2. Catalase test

Explanation: Ans. is 'b' i.e., Catalase test(Ref: Ananthanarayan, 9th/e, p. 200 and 8th/e, p. 196)* Coagulase test is used to differentiate the different species of staphylococci (staph, aureus, staph, epidermidis).* Catalase test is used to differentiate staphylococci from streptococci.* Coagulase test cannot be used to differentiate streptococci from staphylococci because certain species of staphylococci are coagulase negative (coagulase negative staphylococci) as streptococci.